Incubation period of cholera is -
1. l-2 days
2. 7-10 day
3. 10-14 days
4. 3-5 weeks

Correct answer: 1. l-2 days

Explanation: Ans. is 'a' i.e., 1-2 days Incubation periods of imoortant GIT infectionsDiseaseCausative organismIncubation periodPoliomyelitisPoliovirus7-14 daysHepatitis AEnterovirus 72 (Picomavirus)15-45 daysHepatitis BHepadnavirus45-180 daysHepatitis CHepacivirus30-120 daysHepatitis DDeltavims30-90 daysHepatitis ECalcivirus21-45 daysCholeraVibrio cholerae1-2 daysTyphoid feverSalmonella typhi10-14 daysStaphylococcal food poisoningStaphylococcus aureusl -6 hoursAscariasisAscaris lumbricoids2 monthsAncylostomiasis (Hookworm)A. duodena le5 weeks-9 monthsGuinae worm (Dracuncutiasis)Dracunculus medinensis1 year